Super imposition technique is used in -
1. Skull
2. Pelvis
3. Femur
4. Ribs

Correct answer: 1. Skull

Explanation: Skull and photo superimposition is used in identification. Nasion, menton, gonion, prosthion, nasal spine, zygoma, supraorbital ridge, EA meatus, angle of jaw and teeth are compared in life size negatives of the persons skull and photo ref :. Dr.K.S. Narayana Reddys Synopsis of Forensic Medicine & Toxicology 27th edition pg. 48.